Which of the following drugs is preferred for long term treatment of severe anxiety disorder with intermittent panic attacks?
1. Phenothiazine
2. Azapirone
3. b blocker
4. Selective serotonin reuptake inhibitor

Correct answer: 4. Selective serotonin reuptake inhibitor

Explanation: (Ref: KDT 6/e p446) SSRIs are the drugs of choice for long-term management of panic disorder whereas benzodiazepines are DOC for acute panic attacks.